Most common cause of retinal detachment is?
1. Myopia
2. Hypermetropia
3. Tractional
4. Exudates

Correct answer: 1. Myopia

Explanation: Ans. (a) MyopiaRef: Khurana 4/e, p 275, Kanski 7/e, Chapter 16, Parson's 21/e, p 326